Hoffmann elimination is seen with?
1. Gallamine
2. Thiopentone
3. Atracurium
4. Lignocaine

Correct answer: 3. Atracurium

Explanation: Ans. (c) AtracuriumRef: Lee synopsis of anesthesia 12/e, p 215